Which of the followoing is major site of Expression of GLUT5?
1. Renal tubules
2. Brain
3. Placenta
4. Sperm

Correct answer: 4. Sperm

Explanation: GLUT5 functions as Fructose transporter in sperm. Ref: Ganong's Review of Medical Physiology, 23rd Edition, Page 320.